All are indicators of endoscopy in a patient with GERD symptoms , EXCEPT:
1. Anemia
2. Weight loss
3. Epigastric burning pain
4. Choking episodes

Correct answer: 3. Epigastric burning pain

Explanation: Indications for endoscopy in patients with GERD GERD symptoms that are persistent or progressive despite appropriate medical therapy Dysphagia or odynophagia Involuntary weight loss >5% Evidence of GI bleeding or anemia Finding of a mass, stricture, or ulcer on imaging studies Evaluation of patients with suspected extra-esophageal manifestations of GERD Persistent vomiting Evaluation of patients with recurrent symptoms after endoscopic or surgical antireflux procedures Ref:GASTROINTESTINAL ENDOSCOPY Volume 66, No. 2 : 2007